All are true regarding somatization disorder except:
1. Maintain sick role
2. 4-Pain symptoms
3. 1-Sexual symptom
4. 1-Pseudo neurological symptom

Correct answer: 1. Maintain sick role

Explanation: Ans:A-Maintain sick roleSomatic symptom disorder (SSD formerly known as "somatization disorder" or "somatoform disorder") is a form of mental illness that causes one or more bodily symptoms, including pain.The symptoms may or may not be traceable to a physical cause including general medical conditions, other mental illnesses, or substance abuse. But regardless, they cause excessive and disproportionate levels of distress.The symptoms can involve one or more different organs and body systems, such as:PainNeurologic problemsGastrointestinal complaintsSexual symptomsMany people who have SSD will also have an anxiety disorder.People with SSD are not faking their symptoms. The distress they experience from pain and other problems they experience are real, regardless of whether or not a physical explanation can be found. And the distress from symptoms significantly affects daily functioning.